True about lathyrism:
1. Caused by Aspergillus flavus
2. Prevented by parboiling
3. Sanguinarine is the toxic principle
4. All

Correct answer: 2. Prevented by parboiling

Explanation: Ans. Patient develops spastic paraplegia